Which of the following is NOT consistent with antemortem burns?
1. Presence of marked cellular exudates
2. Presence of line of redness
3. Blisters containing air and thin clear fluid with yellow base
4. Presence of increased enzymatic reaction at peripheral zone of burns

Correct answer: 3. Blisters containing air and thin clear fluid with yellow base

Explanation: In case of antemortem burns the blisters are filled with serous fluid and the base is red in colour. All the other options given are consistent with ante mortem burns. Note that no inflammatory changes are seen in post-mortem burns. Ref: Essentials of Forensic Medicine and Toxicology By Dr.K S Narayan Reddy, 21st Edition, Page 277